The preferred treatment of small early Verrucous carcinoma of the larynx is:
1. Pulmonary surgery
2. Electron beam therapy
3. Total laryngectomy
4. Endoscopic removal

Correct answer: 4. Endoscopic removal

Explanation: (d) Endoscopic removal(Ref. Cummings, 6th ed., 1626)Verrucous carcinoma is a rare laryngeal malignancy (comprising 1% of laryngeal carcinomas).It has a warty papillary surface. Biopsy shows hyperkeratosis and acanthosis.Here the tumour being highly differentiated and hence radioresistant, the treatment modality is primarily surgical.